Which of the following is not an application of screw feed technique
1. 80% volume reduction
2. Pathological wastes are removed
3. Weight is decreased by 20-30%
4. Based on non-burn thermal treatment

Correct answer: 2. Pathological wastes are removed

Explanation: SCREW-FEED Technology:

Principle: Non-burn dry thermal process
Process: 

- Shredding of waste
-  Heating in a rotating auger

Reduction in waste:

- Reduction in weight: 20-35%
- Reduction in volume: 80%

Useful for wastes:

- Infectious waste
- Sharps

Not useful for wastes:

- Pathological waste
- Cytotoxic waste
- Radioactive waste